A population of 100000 is under surveillance during an year. 100 cases were positive for malarial thick smear. What is the annual parasite index -
1. 1 per 1000
2. 2 per 1000
3. 10 per 1000
4. 20 per 1000

Correct answer: 1. 1 per 1000

Explanation: Ans. is 'a' i.e., 1 per 1000 * Annual Parasite Incidence = (confirmed cases during one year/population under surveillancee) x 1000* Population under surveillance = 100000* Confirmed cases =100API =100------100,000x 1000 = 1* So, API is 1 per 1000 population.